Which of the following statement regarding pigmentary glaucoma is false?
1. It is secondary open-angle glaucoma
2. Slit-lamp microscopy shows Krukenberg spindles of pigment on corneal endothelium
3. Gonioscopy shows Sampaolesi line
4. Angle closure glaucoma caused due to accumulation of pigments

Correct answer: 4. Angle closure glaucoma caused due to accumulation of pigments

Explanation: Pigmentary Glaucoma: - Secondary open-angle glaucoma d/t pigment release in young male myopes, presenting with intermittent halos . - Classic triad of krukenberg spindle, Radial trans-illumination of iris defect, increased pigmentation of trabecular meshwork is seen - Anterior surface of lens shows deposition of Pigment granules. - Scheie line/ Zentmayer ring of pigment on peripheral surface around zonular insertions can be seen. - Treatment : Pilocarpine / similar miotics Krukenberg spindle Iris trans-illumination defect Sampaloesi line is a pigmented Schwalbe's line which is seen in any case that releases pigments from the iris - the most common causes being Pigmentary Glaucoma and Pseudoexfoliation syndrome